Raspberry tumour is another name for -
1. Umbilical fistula
2. Umbilical granuloma
3. Umbilical adenoma
4. Meckel's diverticulum

Correct answer: 3. Umbilical adenoma